Risk of congenital defects in a baby is maximum, if the gestational age at the time of maternal rubella infection is:
1. < 11 weeks
2. 11-12 weeks
3. 13-14 weeks
4. 15-16 weeks

Correct answer: 1. < 11 weeks

Explanation: a. < 11 weeks(Ref: Nelson's 20/e p 1548-1551)Risk of congenital defects in a baby is maximum, if mother acquires Rubella in the first trimester (before 11 weeks).